Atypical febrile seizures are associated with:
1. Complex partial seizures
2. No post ictal deficit
3. Neuro-degeneration
4. Raised ICT

Correct answer: 1. Complex partial seizures

Explanation: Atypical febrile seizures are associated with post ictal deficit. +ve family history and patients go on to develop complex partial seizures/ temporal lobe epilepsy in the future. Post ictal deficit absent in- -Febrile seizure -Absence seizure -Atonic seizure Neurodegenerative disorder- variant Creutzfeldt-Jakob disease, leads to myoclonic seizures.